Pseudoachalasia is seen with all except?
1. Esophageal tumor
2. Paraneoplastic
3. Carcinoma fundus
4. Rosary esophagus

Correct answer: 4. Rosary esophagus

Explanation: Causes of pseudo-achalasia 1. Tumor infiltration, most commonly seen with carcinoma in the gastric fundus or distal esophagus can mimic idiopathic achalasia. 2. Rarely, pseudo achalasia can result from a paraneoplastic syndrome with circulating antineuronal antibodies * Pseudoachalasia presents at young age, abrupt onset of symptoms (year), and weight loss. Hence, endoscopy should be part of the evaluation of achalasia. * When the clinical suspicion for pseudoachalasia is high and endoscopy nondiagnostic, CT scanning or endoscopic ultrasonography may be of value. * Since barium swallow may not be able to differentiate achalasia from pseudoachalasia, (MRI and CT scan must be done for determining the cause as well as for staging. Radiographically, a "corkscrew esophagus," rosary bead esophagus," is indicative of diffuse esophageal spasm.